When planning home care for a client with hepatitis A, which preventive measure should be emphasized to protect the client’s family?
1. Keeping the client in complete isolation
2. Using good sanitation with dishes and shared bathrooms
3. Avoiding contact with blood-soiled clothing or dressing
4. Forbidding the sharing of needles or syringes

Correct answer: 2. Using good sanitation with dishes and shared bathrooms

Explanation: Hepatitis A is transmitted through the faecal-oral route or from contaminated water or food. 
Measures to protect the family include good handwashing, personal hygiene and sanitation, and the use of standard precautions. 
Complete isolation is not required. Avoiding contact with blood-soiled clothing or dressings or avoiding the sharing of needles or syringes are precautions needed to prevent transmission of hepatitis B.